A 55-year-old man is admitted to the hospital for an iliofemoral bypass. The operation is performed successfully and the blood flow between the iliac and femoral arteries is restored. During rehabilitation which of the following arteries should be palpated to monitor good circulation of the lower limb?
1. Anterior tibial
2. Deep fibular (peroneal)
3. Deep plantar
4. Dorsalis pedis

Correct answer: 4. Dorsalis pedis

Explanation: The dorsalis pedis is the continuation of the anterior tibial artery into the foot, as it passes the distal end of the tibia and the ankle joint. The pulse of the dorsalis pedis can be felt between the tendon of the extensor hallucis longus and the tendon of the extensor digitorum longus to the second toe. A strong pulse is a positive indicator of circulation through the limb. The fibular (peroneal) artery is a branch of the posterior tibial artery and passes in the calf between the flexor hallucis longus and tibialis posterior, making it difficult to palpate. The deep plantar artery, the extension of the first dorsal interosseous or lateral plantar arteries, passes deep to the aponeurotic tissues and central muscles of the foot, making palpation unlikely. The dorsal metatarsal branches of the dorsalis pedis pass under cover of the extensor digitorum longus and brevis tendons. Palpable pulses of the first or other dorsal metatarsal arteries can therefore be difficult to detect.